Autonomic ganglion is mainly:
1. Cholinergic
2. Adrenergic
3. Dopaminergic
4. Serotonergic

Correct answer: 1. Cholinergic

Explanation: Ans. A. CholinergicANS (Autonomic Nervous system) Parasympathetic and sympathetica. Chemical transmission at autonomic junction: - (between pre and post-ganglionic neuron; and between the post ganglion neurons and the autonomic effectors) "The principal transmitter agents involved are Acetyl choline and Non-epinephrine, although Dopamine is also secreted by interneurons in the sympathetic ganglia and GnRH is secreted by some of the preganglionic neuronsb. On the basis of the chemical mediator, ANS is divided into: I- Cholinergic division (Ach transmitter) And II-Nor- adrenergic division (Nor Ad transmitter)c. Examples of cholinergic neurons: - (Ach transmitter)i. All preganglionic neuronii. Parasympathetic postganglionic neuronsiii. Sympathetic post ganglion neurons which innervate sweat glandiv. Sympathetic neurons which ends in the blood vessels (= produce vasodilation)